Which is best for ascertaining glycemic control in bronze diabetes?
1. Urine dipstick (DIASTIX)
2. Serum fructosamine
3. Glycosylated haemoglobin
4. OGTT

Correct answer: 2. Serum fructosamine

Explanation: Serum fructosamine is formed due to non-enzymatic glycosylation of serum proteins mainly albumin. It represents glycemic control for preceding 1-2 weeks. Normal values are 200-285mcmol/L. Advantages of serum fructosamine are: Useful in Haemolytic states which affect interpretation of glycosylated haemoglobin. Evaluation of glycemic control at the time of conception in a woman with pre-existing diabetes mellitus. Note that option 3 and 5 denote the same entity